Life threatening complication of recalcitrant Hyperemesis Gravidarum are all except
1. Esophageal rupture
2. Hyperprothrombinemia
3. Thiamine deficiency
4. Hyperalimentation complications.

Correct answer: 2. Hyperprothrombinemia

Explanation: Some life-Threatening complications of recalcitrant Hyperemesis Gravidarum.

Acute kidney injury - may require dialysis
Diaphragmatic rupture
Esophageal rupture - Boerhaave syndrome
Hypoprothrombinemia - Vitamin K deficiency
Hyperalimentation complications
Mallory-weiss tears - bleeding, pneumothorax, pneumomediastinum, pneumopericardium
Wernicke encephalopathy - thiamine deficiency.